Which of the following is also known as australia antigen:
1. HBsAg
2. HBeAg
3. HBcAg
4. HBV DNA

Correct answer: 1. HBsAg

Explanation: Ans. A: HBsAg HBV was first linked to hepatitis in the 1960s when Australia antigen (later known as HBV surface-antigen) was identified.